K F Ring is seen in-
1. Chalcosis
2. Sarcoidosis
3. Tuberous Sclerosis
4. VKH Syndrome

Correct answer: 1. Chalcosis

Explanation: Ans. is 'a' i.e., Chalcosis * Kayser-Fleischer (KF) ring - Copper deposition in Chalcosis or Wilson's disease* Fleischer ring - Deposition of iron and is a sign of keratoconus